Which of the following is not a component of Innate immunity?
1. Epithelial barriers
2. NK cells
3. Dendritic cells
4. Helper T lymphocyte

Correct answer: 4. Helper T lymphocyte

Explanation: The major components of innate immunity are epithelial barriers that block entry of microbes, phagocytic cells (mainly neutrophils and macrophages), dendritic cells, natural killer (NK) cells, and several plasma proteins, including the proteins of the complement system.The adaptive immune system consists of lymphocytes and their products, including antibodies.Ref: Robbins and Cotran Pathologic Basis of Disease; 9th edition; Chapter 6; Diseases of the Immune System; Page no: 186